All of the following are functions of the spleen EXCEPT ?
1. Clearance of damaged or aged red blood cells (RBCs) from the blood.
2. Extramedullary site for hematopoiesis and recycling iron.
3. Initiation of adaptive immune response from filtration of lymph.
4. Clearance of encapsulated bacteria from the bloodstream.

Correct answer: 3. Initiation of adaptive immune response from filtration of lymph.

Explanation: Functions of spleen:- 1. Phagocytic function -- when any foreign body invades, macrophages ingest them by phagocytosis & liberate the antigenic products of the organism -- antigens activate the helper T lymphocytes & B lymphocytes 2. Secretion of bactericidal agents -- secrete many bactericidal agents which kill the bacteria I. Superoxide (02-) II. Hydrogen peroxide (H202) III. Hydroxyl ions (OH -) 3. Secretion of interleukins -- IL-1: accelerate maturation & proliferation of specific B lymphocytes & T lymphocytes -- IL-6: cause growth of B lymphocytes -- IL-12: influence the T-helper cells Through the reticuloendothelial system the spleen clears encapsulated bacteria such as pneumococcus and Haemophilus influenzae which are poorly opsonized from the hepatic reticuloendothelial system. In addition to these functions the spleen serves as an extramedullary site for hematopoiesis and plays a functional role in the recycling of iron. While the white pulp of the spleen is important in the initiation of the adaptive immune response, material is delivered to the spleen through the blood and not the lymph.